The most common presentation of congenital CMV infection is:
1. Hepatosplenomegaly
2. Microcephaly
3. Cerebral calcification
4. Chorioretinitis

Correct answer: 1. Hepatosplenomegaly

Explanation: Ans. is 'a' i.e., Hepatosplenomegaly (Ref: Harrison, 18th/e, p. 1473; 17th/e, p. 1110)* Most common presentation of congenital CMV infection is petechial lesions, hepatosplenomegaly and jaundice. "About 50% all renal transplant recipient presenting with fever 1 to 4 months after transplantation have evidence of CMV disease; CMV itself accounts for the fever in more than two - third of cases.